Lingual bar is:
1. Maxillary major connector
2. Direct retainer
3. Indirect retainer
4. None of the above

Correct answer: 4. None of the above